Proximal part of umbilical artery gives rise to?
1. Median umbilical ligament
2. lateral umbilical ligament
3. Superior vesical artery
4. Inferior vesical artery

Correct answer: 3. Superior vesical artery

Explanation: *Umbilical arteries - seen as continuations of the right and left dorsal aortae, before their fusion. *After fusion, they are seen as lateral branches of the single dorsal aorta *Cross the 5th lumbar intersegmental artery *part of umbilical artery, btw the aorta and the anastomosis with internal iliac, disappears so that umbilical artery is now seen as a branch of the internal iliac *Post natal life - proximal part of the umbilical artery becomes the superior vesical artery, while it's distal part is obliterated to form the medial umbilical ligament (Reference : I B Singh's Embryology, 10th edition, pg 264)